Commando operation is used as treatment for
1. Colon cancer
2. Carcinoma esophagus
3. Parotid gland tumour
4. Carcinoma of oral cavity

Correct answer: 4. Carcinoma of oral cavity